Acrodermatitis hemorrhagica is due to deficiency of
1. Zinc
2. Manganese
3. Copper
4. Selenium

Correct answer: 1. Zinc

Explanation: Ans. is 'a' i.e., Zinc Symptoms of Zinc Deficiency Mild deficiency Severe dificiency Growth retardation Dwarfism Cardiomyopathy Hypogonadism Infertility Loss of taste Poor wound healing Deformed bones Diarrhoea Alopecia Night blindness Skin striae Nail changes Acrodermatitis enteropathica is an inherited autosomal recessive disorder with imapired intestinal disorder and transport of Zinc. Patient suffers with pustular and bullous dermatitis, alopecia, growth retardation diarrhoes, secondary infection, lethargy, irritability and depression. Oral Zinc supplementation leads to remission. Zinc 2nd most abundant trace element in the body. Most common catalytic metal ion in the cell cytoplasm. Component of more than 100 enzymes like DNA polymerase, RNA polymerase, transfer RNA synthetase. It plays role in all stages of insulin metabolism.